Holdsworth classification of thoracolumbar spine fracture is based on how many columns of spine?
1. Two
2. Three
3. Four
4. Five

Correct answer: 1. Two

Explanation: ANSWER: (A) TwoREF: Harris Ik Harris' The Radiology of Emergency" Medicine By Thomas L. Pope 5th ed page 272, Rockwood 7th ed ch: 43, Spinal Trauma: An Imaging Approach By Victor N. Cassar- Pullicino, Herwig Imhof page 56One of the first descriptions of fractures of the thoracolumbar spine was put forth by Sir Frank Holds worth in 1953.See details of Dennis' three-column concept of spine in Radiology 2012 Session 2